A child with diarrhea has deep & rapid respiration. Most likely diagnosis is:
1. Respiratory acidosis
2. Respiratory alkalosis
3. Metabolic acidosis
4. Metabolic alkalosis

Correct answer: 3. Metabolic acidosis

Explanation: Diarrhoea- lose of bicarbonate in stool- causes normal anion gap metabolic acidosis. Deep & rapid respiration- compensatory mechanism